All ICUD's are changed every 4-5 year except:
1. Cu 280
2. Cu 320
3. Multiload devices
4. Progestasert

Correct answer: 4. Progestasert